In competitive inhibition the relation Km and Vmax is one of the following -
1. Km and Vmax are the same
2. Km increases and Vmax is the same
3. Km decreases and Vmax increases
4. Km and Vmax decreases

Correct answer: 2. Km increases and Vmax is the same

Explanation: Ans. is 'b' i.e., Km increase and Vmax is the same Competitive inhibition-Km is high Vmax is sameNon Competitive inhibition-Vmax lowered Km unaltered Type of inhibitorKmVmaxReversible inhibbitor o CompetitiveIncreasedNo effecto Non-competitiveNo effectDecreasedo UncompititiveDecreasedDecreasedIrrversible inhibitor (same as reversible competitive)No effectDecreased